Magnitude of action potential is mainly affected by:
1. Calcium ion
2. Hydrogen ion
3. Sodium ion
4. Potassium ion

Correct answer: 3. Sodium ion

Explanation: Ans. C: Sodium ion